Murphy sign is seen in:
1. Acute appendicitis
2. Acute cholecystitis
3. Acute pancreatitis
4. Acute cholangitis

Correct answer: 2. Acute cholecystitis

Explanation: Ans. (b) Acute CholecystitisRef:Page 1107, Chapter 67, Bailey and Love 26th edition* In the acute phase of Cholecystitis, the patient may have right upper quadrant tenderness that is exacerbated during inspiration by the examiners right subcostal palpation (Murphy's sign).* A positive Murphys sign suggests acute inflammation and may be associated with a leukocytosis and moderately elevated liver function tests. A mass may be palpable as the omentum walls off an inflamed gall bladder. Fortunately in the majority of cases, the process is limited by the stone slipping back into the body of the gall bladder and the contents of the gall bladder escaping by way of the cystic duct. This achieves adequate drainage of the gall bladder and enables the inflammation to resolve.